Which of the following is the right choice of treatment for portosystemic encephalopathy?
1. Diurestics
2. High protein diet
3. Emergency portosystemic shunt syrgery
4. Lactulose

Correct answer: 4. Lactulose

Explanation: Treatment Treatment of the cause Bowel cleansing using oral lactulose or enemas A diet with vegetable as the primary protein source Oral nonabsorbable antibiotics such as rifaximin and neomycin The bowels should be cleared using enemas or, more often, oral lactulose syrup.This synthetic disaccharide is an osmotic cathartic. It also lowers colonic pH, decreasing fecal ammonia production. The initial dosage, 30 to 45 mL po tid, should be adjusted to produce 2 or 3 soft stools daily. Ref Harrison20th edition pg 2456